Survival in unresectable GB ca is?
1. 4-6 months
2. 8-10 months
3. 1 yr
4. 12-24 months

Correct answer: 1. 4-6 months